Milk teeth--Total no. in human being:
1. 20
2. 28
3. 32
4. 24

Correct answer: 1. 20

Explanation: a. 20(Ref: Nelson's 20/e p 1768-1771, Ghai 8/e p 11)Primary dentition comprises of 20 teeth, which begins at 6 months of age and completes by 3 years.